Bariatric surgery includes all except:
1. Gastric banding
2. Gastric bypass
3. Biliopancreatic diversion
4. Ileal transposition

Correct answer: 4. Ileal transposition

Explanation: Bariatric Surgery: Indication for Bariatric Surgery Patients that have a BMI of 35 Kg/m3 or more with comorbidity. Those with a BMI of 40 Kg/m2 or greater regardless of comorbidity Bariatric Operation Mechanism of action Vertical banded gastroplasty Laparoscopic adjustable gastric banding (Safest & reversible) Restrictive Roux-en-Y gastric bypass (RYGB): MC performed procedure now-a-days Largely Restrictive/Mildly Malabsorptive Bilopancreatic diversion Duodenal switch Largely Malabsorptive/Mildly Restrictive Ref: Sabiston 20th edition Pgno: 1168